Before dying declaration, the role of a doctor is:
1. To assess compos mentis
2. To record statement even in presence of magistrate
3. Cross examines the person
4. Put person under oath before declaration

Correct answer: 1. To assess compos mentis

Explanation: Dying declaration : written or oral statement of a person, who is dying as a result of some unlawful act, relating to the material facts of the cause of death or the circumstances surrounding it. The law does not provide who can record a dying declaration, nor is there any prescribed form, format or procedure for the same. The doctor should certify that the person is conscious and his mental faculties are normal, i.e. he is in compos mentis.